First cell to migrate into a wound due to chemotaxis to start the process of wound healing is -
1. Lymphocyte
2. Macrophage
3. Platelet
4. Neutrophil

Correct answer: 4. Neutrophil

Explanation: . In healing 1.intial haemorrhage. 2.acute inflammatory response:this occurs withiwithin 24 hours with appearance of polymorphs from margin of incision by the 3rd day polymorphs are replaced by macrophages. Ref Robbins 9 /e pg62-65